All of the following statements are true regarding hepatoblastoma, except:
1. A type of small round cell tumor
2. Most common liver tumor of early childhood
3. Activation of JAK-STAT pathway involved in pathogenesis
4. Associated with Beckwith-Wiedemann syndrome

Correct answer: 3. Activation of JAK-STAT pathway involved in pathogenesis

Explanation: Hepatoblastoma Most common liver tumor of early childhood. Rarely occurs over the age of 3 years. Activation of the Wnt signaling pathway is characteristic of hepatoblastoma. Associated with Beckwith-Wiedemann syndrome and familial adenomatous polyposis. It is a type of small blue round cell tumour with two histological subtypes - epithelial type and and mixed epithelial-mesenchymal type. Good prognosis.